All of the following form the deep venous system of brain, EXCEPT?
1. Internal cerebral vein
2. Great cerebral vein
3. Basal veins
4. Cavernous sinus

Correct answer: 4. Cavernous sinus

Explanation: Deep venous system of the brain is composed of the internal cerebral, basal and great cerebral vein and their tributaries. This system drains the deep white and grey matter surrounding the lateral and 3rd ventricles and the basal cisterns.The deep veins are divided into a ventricular group composed of veins converging on the walls of the lateral ventricles and a cisternal group that includes the veins draining the walls of the basal cisterns.The internal cerebral vein is included in the ventricular group because it is predominantly related to the ventricles and the basal and great veins are reviewed with the cisternal group because they course through the basal cisterns. The choroidal veins are included in the ventricle veins because they arise to the choroid plexus in the ventricles. The thalamic veins appear in both the ventricular and cisternal group because some course on the ventricular surfaces and other course in the basal cisterns.